Madelung's deformity involves WHICH OF THE FOLLOWING ?
1. Humerus head
2. Proximal ulna
3. Distal radius
4. Carpal bones

Correct answer: 3. Distal radius

Explanation: madelung deformity- abnormality of the palmar ulnar part of the distal radial epiphysis in which progressive ulnar & volar tilt develops at distal radial articular surface, resulting in dorsal subluxation of distal ulna *cause - autosomal dominant ,dysplasic, genetic or idiopathic *clinical features- volar subluxation of hand , prominence of distal ulna, volar & ulnar angulation of distal radius *radiological abnormalities are seen in radius ,ulna & carpal bones.radius is curved with its convexity dorsal and radial .Distal radial epiphysis is triangular. Ulna is subluxated dorsally,head is enlarged & overall length of ulna is decreased. Carpus is subluxated ulnaward & palmarwards into distal radioulnar joint,carpus appear wedge shaped with it's apex proximal *treatment-conservative & surgical- considered for severe deformity or persistent pain .in skeletally immature patients ,distal radial osteotomy with ulnar shortening (Milch resection) preferred .In skeletally mature osteotomy & Darrach's procedure is done. REF:textbook of orthopedics ,John ebenezer,4th edition ,pg.no. 492